Surface anatomy for internal jugular vein
1. Ear lobule to medial third of clavicle
2. Ear lobule to middle third of clavicle
3. Ear lobule to lateral third of clavicle
4. Mastoid to third of clavicle

Correct answer: 1. Ear lobule to medial third of clavicle

Explanation: Internal jugular vein is marked by a broad line by joining these two points: a.The first point on the neck medial to the lobule of the ear b.The second point at the medial end of the clavicle. Ref.BDC volume 3,sixth edition pg 303